The peroneal artery is a branch of which artery -
1. Anterior tibial artery
2. Popliteal artery
3. Posterior tibial artery
4. Arcuate artery

Correct answer: 3. Posterior tibial artery